Which molecule is regarded as carrier of TCA cycle ?
1. Acetyl CoA
2. Oxaloacetate
3. Citrate
4. ATP

Correct answer: 2. Oxaloacetate

Explanation: Oxaloacetate is regarded as: Carrier of TCA cycle 1st substrate of TCA catalytic role in TCA Acetyl CoA is not glucogenic; not carrier, 1st substrate or intermediate of TCA cycle